Lipopolysaccharide of gram negative bacteria -
1. Hapten
2. Heterophile antibody
3. Stimulator for B lymphocytes
4. Induce cell mediated immunity'

Correct answer: 3. Stimulator for B lymphocytes

Explanation: Ans. is 'c' i.e., Stimulator for B lymphocytes o The biological activity of endotoxin is associated with lipopolysaccharide (LPS).Toxicity is associated with lipid component (Lipid A).Immunogenicity is associated with polysaccharide component.o The cell wall antigen (O antigen) of Gram-negative bacteria are components of LPS.o LPS elicits a variety of inflammatory responses and activates alternate complement pathway,o The susceptibility to infections induced by Gram-negative bacteria is largely determined by innate immune response to bacterial cell wall lipopolysaccharide (LPS).o The stimulation of B-cells by LPS enhances their antigen-presenting capacity and is accompanied by B-cell proliferation and secretion of large qunatities of LPS neurilizing antibodies.